Drug of choice for acute iridocyclitis is-
1. Steroids
2. Acetazolamide
3. Atropine
4. Antibodies

Correct answer: 1. Steroids

Explanation: Corticosteroids are of great value in controlling the iridocyclitis in the acute phase. They usually administered topically as drops or ointment or subconjunctival injections. eg ;- betamethasone, dexamethasone and prednisolone.